Integrated Management of Childhood Illness (IMCI) was taken to prevent morbidity and mortality from all except
1. Malaria
2. Malnutrition
3. Otitis media
4. Neonatal tetanus

Correct answer: 4. Neonatal tetanus

Explanation: IMNCI: Curative component includes management of - 1. Diarrhoea 2. Measles 3. Pneumonia 4. Malaria 5. Severe malnutrition and nutritional counseling